A 35 year old woman has been a state resident for the past 15 years. She spends most of her day rocking, muttering softly to herself or looking at her reflection in a small mirror. She needs help with dressing and showering and she often giggles and laughs for no apparent reason. Patient is suffering from:
1. Schizophreniform disorder
2. Catatonia
3. Shared psychotic disorder
4. Schizophrenia, disorganized

Correct answer: 4. Schizophrenia, disorganized

Explanation: Schizophrenia, disorganized * Depending on the predominance of paicularsymptoms, four subtypes of schizophrenia are recognized: paranoid, disorganized, catatonic, and residual. * The essential characteristics of the disorganized type are disorganized speech and behavior, flat or inappropriate affect, great functional impairment and inability to perform basic activities such as showering or preparing meals.